Culture media used for isolation of Bordetella pertussis-
1. L-J medium
2. Chocolate media
3. Wilson blair medium
4. Bordet - Gengou medium

Correct answer: 4. Bordet - Gengou medium

Explanation: Ans. is 'd' i.e., Bordet-Gengou medium * Bordet-Gengou glycerine potato-blood agar medium is commonly used.* Incorporation of diamidine fluoride and penicillin {Lacey's DFP medium) makes it more selective.